A 35 year old man is brought to you dressed in woman's clothing. On further questioning you find that he gets sexual pleasure from doing so. It is a case of
1. Eonism
2. Ipsation
3. Peeping tom
4. Mixoscopia

Correct answer: 1. Eonism

Explanation: Transvestism /Eonism Disorder characterized by recurrent, intense, sexually arousing fantasies, sexual urges or behaviors involving cross-dressing. Sexual gratification is obtained by wearing the dress of opposite sex for sexual excitement. It is usually seen in males They collect items of distinct feminine look and feel, like nightgowns, slips, bras, lingerie, stockings and pantyhose, and may dress in these feminine garments and take photographs of themselves while living out their secret fantasies.